All of the following are histological features of papillary carcinoma of thyroid, except:
1. Complex branching papillae with fibrovascular core
2. Orphan Annie eye nuclei and intranuclear grooves
3. Psammoma bodies
4. Amyloid deposits

Correct answer: 4. Amyloid deposits

Explanation: Histological features of Papillary thyroid carcinoma: Papillary carcinomas contain branching papillae having fibrovascular stalk covered by a single to multiple layers of cuboidal epithelial cells. Nuclei of papillary carcinoma cells contain finely dispersed chromatin, which imparts an optically clear or empty appearance, giving rise to ground-glass appearance / Orphan Annie eye nuclei. Invaginations of cytoplasm often give appearance of intranuclear inclusions ("pseudo-inclusions") or intranuclear grooves. Concentrically calcified structures termed Psammoma bodies are often present within lesion, usually within cores of papillae Metastases to adjacent cervical lymph nodes occur in upto half of cases. Involvement of blood vessels is relatively uncommon, particularly in smaller lesions. Amyloid deposits are found in medullary carcinoma of thyroid.